Stimulant drug is given to child for the treatment of
1. Conduct disorder
2. Speech developmental disorder
3. Pervasive disorder
4. ADHD

Correct answer: 4. ADHD

Explanation: Stimulant medication- dextroamphetamine and methylphenidate have been traditionally used for the treatment of attention deficit hyperactivity disorder. Methylphenidate is the currently the drug of choice. it acts on the reticular activating system, causing stimulation of the inhibitory influences on the cerebral cortex, thus decreasing hyperactivity and /or distractability (Ref: a short textbook of psychiatry, Niraj Ahuja,7th edition, pg no 167)